Pathognomonic of miliary TB
1. Snow storm appearance in CXR
2. Choroid tubercles on fundus examination
3. Pericardial TB
4. Peritoneal TB

Correct answer: 2. Choroid tubercles on fundus examination

Explanation: Ans. is 'b' i.e., Choroid tubercles on fundus examination